Indications of ECT is/are -a) Psychotic depressionb) Catatonic schizophreniac) Cyclothymiad) Dysthymiae) Post traumatic stress disorder
1. ac
2. ab
3. ad
4. bc

Correct answer: 2. ab

Explanation: Severe depression with psychotic features (psychotic depression) and catatonic schizophrenia are indications for ECT.